Proportional mortality rate is:
1. Rate
2. Ratio
3. Proportion
4. None

Correct answer: 3. Proportion

Explanation: Proportional mortality rate : 
The simplest measure of estimating the burden of disease in the community is proportional mortality rate, i.e., the proportion of all deaths currently attributed to it. 
For example, coronary heart disease is the cause of 25 to 30 percent of all deaths in most western countries. The proportional mortality rate from communicable diseases has been suggested as a useful health status indicator; it indicates the magnitude of preventable mortality.